True about alcoholic hallucinosis
1. Recovery needs a time period of 1 year
2. Visual hallucinations are the most common
3. Occurs in clear consciousness
4. If occurs is about 10% of patients

Correct answer: 3. Occurs in clear consciousness

Explanation: (C) Occurs in clear consciousness # Alcoholic hallucinosis:> This is characterized by the presence of hallucinations (usually auditory) during abstinence , following regular alcohol intake.> It occurs in about 2% of patients. These hallucinations persist after the withdrawal syndrome is over, and classically occur in clear consciousness. Usually recovery occurs within one month and the duration is very rarely more than six months.